Furosemide causes all except -
1. Hyperuricemia
2. Ototoxicity
3. Hypercalcemia
4. Hypokalemia

Correct answer: 3. Hypercalcemia

Explanation: Ans. is `C' i.e., Hypercalcemia Coniolications of high ceiling (furosamidel diuretics o Hypokalemia (M. C) o Hyperuricemia o GI disturbances o Acute saline depletion o Hypocalcemia o Mental disturbances o Dilutional hyponatremia o Hyperglycemia o Allergic manifestations o Alkolosis o Hyperlipidemia o Hearing loss (ototoxicity) o Hypomagnesemia Thiazides also have same complications except o Thiazides cause hypercalcemia o Thiazides may aggravate renal insufficiency. o Thiazides do not cause ototoxicity. Remember o Hypokalemia is less common with loop diuretics than with thiazides. o Hypokalemia is prevented and treated by